Which of the following intrinsic laryngeal muscles is NOT derived from branchial arch VI:
1. Cricoarytenoid muscle
2. Interarytenoid muscle
3. Thyroarytenoid muscle
4. Cricothyroid muscle

Correct answer: 4. Cricothyroid muscle

Explanation: Ans. (d) Cricothyroid muscleRef: Inderbir Singh's Embroyology, 7th ed. /119-120* All intrinsic laryngeal muscles is derived from branchial arch VI EXCEPT cricothyroid muscle.* Cricothyroid muscle is derived from branchial arch IV.